Picket-fence graph of temperature is seen in:
1. Otitic hydrocephalous
2. Lateral sinus thrombosis
3. Extradural abscess
4. Meningitis

Correct answer: 2. Lateral sinus thrombosis

Explanation: Diurnal spikes of fever of 104deg or 105deg F are typical of lateral sinus thrombosis. Due to use of antibiotics, this picture is not seen in all patients of sinus thrombosis these days. There is fever in meningitis and extradural abscess but it does not show diurnal spikes.